True about Erythema elevatum diutinum:
1. Chronic cutaneous fungal infection
2. Most common site of involvement is trunk
3. A cutaneous marker of glucagonoma
4. Dapsone is drug of choice

Correct answer: 4. Dapsone is drug of choice

Explanation: Ans. D. Dapsone is drug of choice.Erythema elevatum diutinum:a. Rare disease; unknown incidence.b. A chronic leukocytoclastic vasculitis typified by a distinctive clinical pattern.c. Symmetric, erythematous, violaceous, or yellow-brown papules/nodules/plaques.d. Most common sites of involvement are the extensor surfaces of the hands, fingers, elbows, knees, legs, and Achilles tendon. Trunk is usually spared.e. Co-occurring diseases include monoclonal paraproteinemias, lymphoproliferative disorders, chronic infection, autoimmune conditions, and connective tissue diseases.f. In the early stage of erythema elevatum diutinum (EED), nonspecific leukocytoclastic vasculitis is observed. In later stages, granulation tissue and fibrosis form with a diffuse mixed-cell infiltrate showing a predominance of neutrophils. The capillaries may still show deposits of fibrinoid material or merely fibrous thickening.g. Dapsone- and sulfone-based therapies are considered first-line treatment choices for EED